Angina pectoris and Syncope are most likely to be associated with:
1. Mitral stenosis
2. Aortic stenosis
3. Mitral regurgitation
4. Tricuspid stenosis

Correct answer: 2. Aortic stenosis

Explanation: Answer is B (Aortic stenosis) Angina pectoris and Syncope are characteristic features of Aortic stenosis. Aortic stenosis is characterized by the following cardinal features: - Dyspnea - Angina pectoris - Exertional syncope e - Sudden Death